The first physiological response to high environmental temperature is:
1. Sweating
2. Vasodilatation
3. Decrease heat production
4. Non-shivering thermogenesis

Correct answer: 2. Vasodilatation